A 70-year-old female presented to the OPD with deforming arthritis of hands which is B/L symmetrical. Various deformities were observed. A lymph nodal mass is also observed in the cervical region. Which of the following markers would be most likely positive if the biopsy of the lymph node is done: -
1. BCL-2
2. BCL-1
3. BCL-6
4. BCL-3

Correct answer: 3. BCL-6

Explanation: This is a case of rheumatoid arthritis. 1st image shows the boutonniere's deformity. 2nd image shows the Z-deformity of the thumb. 3rd image shows the trigger finger. Most common lymphoma associated with RA is DLBCL. Most common marker of DLBCL is BCL-6 > BCL-2